The finer movements of the hand are controlled by:
1. Ulnar nerve
2. Median nerve
3. Radial nerve
4. Ant. interosseous nerve

Correct answer: 1. Ulnar nerve

Explanation: Ans: a (Ulnar nerve) Ref: Chaurasia, 4th ed, vol 1 p. 123,124The finer movements of the hand are controlled by the ulnar nerve, through its extensive distribution to the short muscles of the hand, hence known as the 'musiciansUlnar nerve: C 8, T1Lesions of the ulnar nerve at the wrist produces ulnar claw hand involving mainly the ring or little fingers.Combined lesion of the ulnar and median nerve produces true claw hand.Egawas test:Testing for dorsal interossei.Card test:For palmar interosseiFroment's sign- Also called book test is used for assessing the function of adductor pollicisIts action is used for monitoring the neuro muscular blockade level in anaesthesia. Median nerve: C 5,6,7,8,T1Also known as the labourer's nerveIn paralysis of the median nerve, the short muscles of the hand are paralysed and the unopposed action of the extensor pollicis longus produces the ape thumb deformity'.It is the nerve affected in carpal tunnel syndromeThe pen test is for abductor pollicis brevis.Test for opponens pollicis. Radial nerve: C 5,6,7,8,T1Nerve of the extensor compartment.Commonly involved in:Crutch palsySaturday night palsy--compression in the radial groove.Palsy leads to wrist drop.